All of the following drugs cause discolouration of urine EXCEPT:
1. Nitrofurantoin
2. Digoxin
3. Azo dyes
4. Rifampicin

Correct answer: 2. Digoxin

Explanation: ESSENTIALS of medical PHARMACOLOGY SEVENTH EDITION -KD TRIPATHI Page:515,516